Which of the following colloid solutions has proven thromboprophylactic (antithrombotic) effect -
1. Gelatin
2. Dextron 40
3. Dextron 100
4. Hetastarch

Correct answer: 2. Dextron 40

Explanation: Ans. is 'b' i.e., Dextran 40 o Dextran 40 and 70 interferes with coagulation and platelet function and thus prolong bleeding time and so is not used in hypofibrinogenemia, thrombocytopenia or in presence of bleeding. o Dextran 40 has been tried in stroke, in DVT prophylaxis and pulmonary infarction.